Comparing economic benefits of a program with the cost of that program, it is called -
1. Cost-accounting analysis
2. Input-output analysis
3. Cost-effective analysis
4. Cost-benefit analysis

Correct answer: 4. Cost-benefit analysis

Explanation: parks textbook of preventive and social medicine 23rd edition. *management technique in which economic benefits of any programme are compared with the cost of that programme . *benefits are expressed in monetary erms to determine wheather a given programme is economically sound and to select the best out of several alternate programme and is called cost benefit analysis *if benefits are expressed in terms of result acheived they are called cost effective analysis .